Infection of all the following structures can be cause of Psoas abscess except-
1. Vertebrae
2. Appendix
3. Hip joint
4. Ribs

Correct answer: 4. Ribs